This virus is transmitted by the same arthropod that transmits babesiosis and ehrlichiosis.
1. Human papillomavirus
2. West Nile virus
3. Tick-borne encephalitis virus
4. Polyomavirus

Correct answer: 3. Tick-borne encephalitis virus

Explanation: Human papillomaviruses (HPV) are the causative agents of cutaneous warts as well as proliferative squamous lesions of mucosal surfaces. Although most infections by human papillomavirus are benign, some undergo malignant transformation into in situ and invasive squamous cell carcinoma. Both HPV and polyomavirus have icosahedral capsids and DNA genomes. JC virus, a polyomavirus, was first isolated from the diseased brain of a patient with Hodgkin's lymphoma who was dying of progressive multifocal leukoencephalopathy (PML). This demyelinating disease occurs usually in immunosuppressed persons and is the result of oligodendrocyte infection by JC virus. JC virus has also been isolated from the urine of patients suffering from demyelinating disease. Cryotherapy and laser treatment are the most popular therapies for warts, although surgery may be indicated in some cases. At the present time, there is no effective antiviral therapy for treatment of infection with polyomavirus or HPV West Nile virus is an arbovirus. While prevalent in Europe, Africa, and the Middle East, it was not seen in the United States until the summer of 1999. It is transmitted by mosquitoes and birds, especially crows; these animals are a reservoir. WNV causes a rather mild encephalitis in humans, the exception being older patients or those who may be immunocompromised.